Malonyl acetyl transferase has activity of how many enzymes?
1. 1
2. 2
3. 3
4. 4

Correct answer: 2. 2

Explanation: Malonyl acetyl transferase (MAT) is a part of multienzyme complex : Fatty acid synthase.It has two activities:?Acetyl transferase or acetyl transacylase (E1)Malonyl transferase or malonyl transacylase (E2)